All of the following antibiotics act by interfering with cell wall formation EXCEPT :
1. Ceftriaxone
2. Vancomycin
3. Cycloserine
4. Clindamycin

Correct answer: 4. Clindamycin

Explanation: Clindamycin acts by inhibiting the protein synthesis.